Submandibular gland is divided into superficial and deep parts by ?
1. Digastric
2. Geniohyoid
3. Mylohyoid
4. Stylohyoid

Correct answer: 3. Mylohyoid

Explanation: Submandibular gland This walnut sized gland lies below the mandible in the anterior part of digastric triangle. It is .1-shaped and consists of a large superficial and a small deep parts, separated by mylohyoid muscle and continuous with each other around the posterior border of mylohyoid muscle. Superficial part It is situated in the anterior part of digastric triangle. The gland is partially closed in a capsule formed by two layers of deep cervical fascia. It has three surfaces : (i) inferior, (ii) lateral, and (iii) medial. i) Inferior surface is covered by skin, platysma, cervical branch of facial nerve, deep fascia, facial vein and submandibular lymph nodes. ii) Lateral surface is related to submandibular fossa (on mandible), medial pterygoid (insertion) and facial artery. iii) Medial surface is related to mylohyoid, hyoglossus and styloglossus muscles. Deep part It lies on the hyoglossus muscle deep to mylohoid. It is related above to lingual nerve and submandibular ganglion; and below to hypoglossal nerve.